Antihypertensive drug which is beneficial or neutral in the lipid metabolism is
1. Prazosin
2. Propanolol
3. Fursemide
4. Chlorthiazide

Correct answer: 1. Prazosin

Explanation: Refer kDT 6/e p488_545 drugs-lipid metabolism 1.Prazosin and clonidine-favourable effect 2.ARB and ACE inhibitor -no significant effect in plasma lipid profile 3.beta blockers-unfavourable effect 4.diuretics- dyslipideamia 5.CCBs- no effect